Nephrolithiasis occurs with the toxicity to -
1. Ritonavir
2. Saquinavir
3. Indinavir
4. Nalfinavir

Correct answer: 3. Indinavir

Explanation: The drugs commonly associated with renal damage in HIV patients are- Pentamidine, amphotericin, adefovir, cidofovir, tenofovir, foscarnet. cobicistat a component of several fixed drug cART formulations,inhibits renal tubular secretion of creatinine leading to increased serum creatinine levels without true decline in GFR. indinavir, atazanavir may form renal calculi Ref:Harrison 20 th edition pg no 1438